Rhinolith can cause?
1. Nasal obstruction
2. Epistaxis
3. Epiphora
4. All the above

Correct answer: 4. All the above

Explanation: Rhinoliths are more common in adults. The presentation is usually unilateral nasal obstruction and foul smelling discharge which is very often bloodstained. Frank epistaxis and neurologic pain may result from ulceration of the surrounding mucosa mass are seen between the septum and nasal turbinates, the mass surface is irregular and brittle, may break off. Maybe surrounded by granulations also. Ref - PL DHINGRA diseases of ear nose and throat, 6th edition, page no 161